Swollen, hyperemic fungiform papillae is seen in:
1. Riboflavin deficiency
2. Scarlet fever
3. Familial dysautonomia
4. Median rhomboid glossitis

Correct answer: 2. Scarlet fever

Explanation: Early in the course of scarlet fever, the tongue exhibits a white coating, and the fungiform papillae are edematous and hyperemic, projecting above the surface as small red knobs. This phenomenon has been described clinically as ‘strawberry tongue’. The coating of the tongue is soon lost; beginning at the tip and lateral margins, and this organ becomes deep red, glistening and smooth except for the swollen, hyperemic papillae. The tongue in this phase has been termed as the ‘raspberry tongue’.
Ref: Shafer's textbook of oral pathology 7th edition page 318